Mechanism of action of duloxetine is ?
1. Selective Inhibition of serotonin reuptake
2. Selective inhibition of nor-epinephrine reuptake
3. Selective inhibition of both serotonin and nor-epinephrine reuptake
4. None of the above

Correct answer: 3. Selective inhibition of both serotonin and nor-epinephrine reuptake

Explanation: Ans. C. Selective inhibition of both serotonin and nor-epinephrine reuptakeDuloxetine, is a drug classified under serotonin-norepinephrine reuptake inhibitors (sNRJs).At lower doses it is more prominent serotonin reuptake inhibitor.Whereas at higher doses it is more prominent inhibitor of nor-epinephrine reuptake.It has minimal dopamine agonist action.